Acquired proximal myopathy is NOT a feature of-
1. Polymyositis
2. Hypothyroidism
3. Addison's disease
4. Type I diabetes mellitus

Correct answer: 4. Type I diabetes mellitus

Explanation: Proximal myopathy presents as symmetrical weakness of proximal upper and/or lower limbs. There is a broad range of underlying causes including drugs, alcohol, thyroid disease, osteomalacia, idiopathic inflammatory myopathies (IIM), hereditary myopathies, malignancy, infections and sarcoidosis and is not a feature of type 1 diabetes mellitus Ref Davidson 23rd edtion pg 721